True about primary gastric lymphoma is
1. Affects young adults
2. Surgery is never indicated
3. T cell lymphoma
4. H pylori infection increases the risk

Correct answer: 4. H pylori infection increases the risk

Explanation: Ans. is 'd' i.e., H pylori infection increases the risk o The stomach is the most common site for extranodal lymphoma. Nearly al! gastric lymphomas are B-cell lymphomas of mucosa-associated lymphoid tissue (MAL T lymphoma),o Majority of cases (80%) are associated with chronic gastritis and H. Pylori infection. The most striking evidence linking H. Pylori gastritis to MALToma is that eradication of infection by antibiotics induces durable remission with low rate of recurrence.o Gastric lymphoma represents 5% of all gastric malignancies. It is most prevalent is sixth decade of life.o Like other tumors of mature B cells, MALTomas express B-ceil markers CD 19 and CD 20. They do not express CD 5, CD 10 and CD 23.o Diagnosis is made by endoscopic biopsy.o Gastric lymphomas are chemosensitive and chemotherapy alone or along with surgeiy is used for the treatment of gastric lymphoma.o MALT lymphoma (Moltoma) produce lympho-epiihelial lesion in stomach.